Renal damage due to Amphotericin B are all EXCEPT:
1. Azotemia
2. Renal tubular acidosis
3. Glomerulonephritis
4. Hypokalemia

Correct answer: 3. Glomerulonephritis

Explanation: Ans. C i.e. Glomerulonephritis